pegloticase is used for treatment of:-
1. Ankylosing spondylosis
2. CPPD
3. Chronic tophaceous gout
4. Refractory Rheumatoid arthritis

Correct answer: 3. Chronic tophaceous gout

Explanation: Drugs used inchronic goutby increasing uric acid metabolism arePEGLOTICASEand RASBURICASE. Pseudogout is caused by calcium pyrophosphate dehydrate crystals (CPPD). And though the two have similar symptoms, treatment is somewhat different. Drugs to treat pseudogout include: Anti-inflammatory painkiller drugs, also called (NSAIDs). Drugs used in Rheumatoid arthritis synthetic DMARDs, Corticosteroids and Biological DMARDs. Drugs used in Ankylosing spondylosis Adalimumab, Certolizumab pegol, Etanercept.